Burning test syndrome is seen due to deficiency of
1. Vitamin B3
2. Vitamin B5
3. Vitamin B6
4. Vitamin B7

Correct answer: 2. Vitamin B5